Which of the following is used in the treatment of well differentiated thyroid carcinoma -
1. Il31
2. 99m Tc
3. 32p
4. MIBG

Correct answer: 1. Il31

Explanation: Ans. is 'a' i.e., I131